Similarity between Cross sectional study design and Ecological study design:-
1. Both studies are done at a point of time
2. Both provide prevalence
3. Both are based on primary data
4. Unit of study is population

Correct answer: 1. Both studies are done at a point of time

Explanation: Cross Sectional Study Ecological Study Both studies are done at a point of time - Done based on primary Data i.e. collected by Investigation himself from House to House. - It provides "Prevalence", so a/K/a Prevalence Study - a/K/a "SNAPSHOT Study". - Done based on Secondary Data i.e. Collected data from records of hospital Data is not collected by Investigator himself. - Used in Nutritional Surveys - Cannot calculate strength of association / prevalence - Unit of Study is population and results are extrapolated projected not on Individuals but on total population. This drawback is known as "Ecological Fallacy".